The clinical diagnosis of threatened abortion is presumed when a bloody vaginal discharge appears through a closed cervical os during:
1. First half of pregnancy
2. Second half of pregnancy
3. Third trimester
4. All

Correct answer: 1. First half of pregnancy

Explanation: A;First half of pregnancy